Facial artery is a branch of
1. External carotid artery
2. Internal carotid artery
3. Transverse facial artery
4. Buccal artery

Correct answer: 1. External carotid artery

Explanation: The facial artery is the chief artery of the face. It is a branch of the external carotid artery .